Cavett test is used for the detection of ___ in blood
1. Barbiturates
2. Alcohol
3. Opiates
4. Cyanides

Correct answer: 2. Alcohol

Explanation: Methods to find blood alcohol levels Cavett testQ Alcohol dehydrogenase method Kozelka & Hine test Gas chromatography (most specificQ) Breath analyser